Kviem siltzbach test is used in the diagnosis of-
1. Tuberculosis
2. Sarcoidosis
3. Histoplasmosis
4. Leishmaniasis

Correct answer: 2. Sarcoidosis

Explanation: Ans, is 'b' i.e., Sarcoidosis Kveim-Siltzbath skin testo It is a useful intradermal diagnostic testo The antigen is prepared from involved lymph node or spleen is injected intradermallyo In a positive test, nodular lesions appears in 3-6 weeks at the inoculation site, which on microscopic examination shows presence of noncaseating granulomas (sarcoidosis like lesions)o The kviem siltzbath material is no longer available and with the use of transbronchial biopsy to obtain lung parenchym for diagnostic purposes, the kviem siltzbath test is only of historic interest.Laboratory anomaliesCommon abnormalities in the blood includeo Lymphocytopenia; mild eosinophiliao Increased E.S.R., hyperglobulinemiao Elevated level of ACEo False positive tests for rheumatoid factor or ANA'so Hypercalcemia or an elex'ated 24 hr urine calcium levelo The lung function abnormalties of sarcoidosis are typical for interstitial Lung diseaseQ and include decreased lung volumes with and diffusing capacity with a normal or supernormal ratio of the forced expiratory volume in is to the forced vital capacity.Also knowo Sarcoidosis of the lung is primarily an interstitial lung disease in which the in flammatory' process involves the alveoli, small bronchi and small blood vessesls.o Pleura is involved in 1-5% of cases almost always manifesting as unilateral pleural effusionsQ. The effusions usually clear within a few week.o Pneumothorax of hydropneumothorax is observed in sarcoidosis but is very' rare.